Painful loss of vision is seen in –a) Senile cataractb) Primary open angle glaucomac) Primary angle closure glaucomad) Anterior uveitis
1. ab
2. cd
3. bd
4. ac

Correct answer: 2. cd

Explanation: Causes of sudden painful loss of vision are:- Acute angle-closure glaucoma, acute iridocyclitis (acute uveitis), chemical or mechanical injury to eye, endophthalmitis and optic neuritis.